All of the following are the features of orbital apex syndrome except:
1. Ophthalmoplegia
2. Enophthalmos
3. Ophthalmic nerve anaesthesia
4. Amaurosis

Correct answer: 2. Enophthalmos

Explanation: Ans. Enophthalmos